Most common organism responsible for pseudo membranous colitis is ?
1. Clostridium difficile
2. Clostridium botulism
3. Clostridium histolyticum
4. Clostridium butyricum

Correct answer: 1. Clostridium difficile

Explanation: Ans. is 'a' i.e., Clostridium difficile